True of testicular feminization syndrome isa) Testes are presentb) Female Habitusc) XY genotype d) Uterus present
1. ab
2. bc
3. acd
4. abc

Correct answer: 4. abc

Explanation: In testicular feminisation syndrome primary amenorrhoea is present